The technique of immunoblotting to analyze RNA is named as
1. Southern blot
2. Northern blot
3. Western blot
4. None

Correct answer: 2. Northern blot

Explanation: Northern blot is used to analyze RNA Southern blot-DNA Western blot- proteins Ref: Textbook of Microbiology Baveja 5th ed Pg 120